Kinky hair disease is due to defect in?
1. Iron transport
2. Calcium transport
3. Copper transport
4. Magnesium transport

Correct answer: 3. Copper transport

Explanation: Ans is 'c' i.e. copper transportKinky Hair DiseasefSteelv Hair Disease. Menkes disease. Copper Transport Diseasedo It is a X-linked recessive disorder that affects copper levels in the body, leading to copper deficiencyo It is caused by mutations in the copper transport gene, ATP7A (located on chromosome Xq21.1), which is responsible for making a protein that is important for regulating the copper levels in the body.o The onset of the disease typically begins during infancy. Infants with this syndrome often do not live past the age of 3. It is more common in males than femaleso It is characterized by kinky hair, growth failure, and deterioration of the nervous system.